The posterior urethra is best visualized by -
1. Static cystogram
2. Retrograde urethrogram
3. Voiding cystogram
4. CT cystogram

Correct answer: 3. Voiding cystogram

Explanation: Voiding cystourethrography is the best method to visualize posterior urethra.
Remember,
Urethra can be imaged radiographically in two ways. 

Anterograde techniques → Best for visualization of posterior urethra.

(This is done along with voiding cystourethrography or with voiding following excretory urography)

Retrograde technique → Best for examining the anterior (penile) urethra 

​(Contrast is injected through tip of urethra).